Precancerous condition of Ca stomach is -
1. Peptic ulcer
2. Chronic gastric atrophy
3. Achalasia cardia
4. Curling' s ulcer

Correct answer: 2. Chronic gastric atrophy